Struma ovarii is composed entirely of -
1. Mature thyroid tissue
2. Immature thyroid tissue
3. Primary ovarian carcinoid tissue
4. None of the above

Correct answer: 1. Mature thyroid tissue

Explanation: Struma ovarii is a specialized teratoma which is always unilateral and is composed of mature thyroid tissue. It may manifest itself with the features of hyperthyroidism.